The most common presentation of endemic goiter is ?
1. Hypothyroid
2. Diffuse goiter
3. Hyperthyroid
4. Solitary nodule

Correct answer: 2. Diffuse goiter

Explanation: Ans is 'b' i.e., Diffuse Goiter 'Endemic goiter' occurs in geographical areas where the soil, water and food supply contains only low levels of iodine. The lack of the iodine leads to decreased synthesis of thyroid hormones and a compensatory increase in TSH, which in turn leads to follicular cell hypertrophy and hyperplasia and goitrous enlargement - Diffuse hyperplastic goiter. Mostly patients are euthyroid.